Ingram regimen is used in treatment of
1. Vitiligo
2. Psoriasis
3. Lichen planus
4. Lichen nitidus

Correct answer: 2. Psoriasis

Explanation: Ingram's regimen used to treat psoriasis tar bath followed by irradiation with minimal erythema dose with UVB followed by application of dithranol/anthralin paste. goekermans regimen is application of coal tar for 22hrs followed by tar bath and exposure to UVB. IADVL textbook of dermatology page 1043